At 2 years, all the following milestones are achieved except
1. Opens doors
2. Goes upstairs on Alternating feet
3. Climbs on furniture
4. Runs well

Correct answer: 2. Goes upstairs on Alternating feet

Explanation: Emerging patterns of motor behaviour from 1-5years of age15 monthsWalks aloneCrawls upstairs18 monthsRuns stifflySits on small ChairWalks upstairs with one handheldExplores drawers and wastebaskets24 monthsRuns wellWalks up and downstairs, 1 step at a timeOpens doorsClimbs on furnitureJumps30 monthsGoes upstairs on Alternating feet36 monthsRides a tricycleStands momentarily on one foot48 months Hops on one footThrows ball overhandUses scissors to cut out picturesClimbs well60 months SkipsRef: Nelson paediatrics; Table 11-1